Antigens processed by the exogenous antigen presentation pathway are presented in association with which of following?
1. Fc receptors
2. IgG heavy chains
3. MHC class I molecules
4. MHC class II molecules

Correct answer: 4. MHC class II molecules

Explanation: When pathogenic organisms are phagocytized and degraded in the exogenousantigen presentation pathway, the antigenic molecules are presented on the surface of the antigen-presenting cell by MHC class II molecules to a CD4+ T lymphocyte with a specific TCR for the specific antigenic epitope. The Fc portion of an antibody molecule is the part of the immunoglobulin that attaches to the Fcreceptors on phagocytic cell surfaces. When a Fab portion of the antibody is attached to the pathogen and the Fc attaches to the phagocytic cell surface, the phagocyte can destroy the pathogen more efficiently. The IgG molecule is an immunoglobulin that reacts with the antigen after it has been destroyed and presented to the T cell. The IgG immunoglobulin is never involved in antigen presentation. In the endogenous antigen presentation pathway (eg, a virus infecting a cell), the cell would display epitopes from the virus in association with class I molecules to the CD8+ cytotoxic T cell. Ref: Levinson W. (2012). Chapter 58. Cellular Basis of the Immune Response. In W. Levinson (Ed), Review of Medical Microbiology & Immunology, 12e.